Cozens test is for:
1. Golfers elbow
2. Tennis elbow
3. Students elbow
4. Frozen elbow

Correct answer: 2. Tennis elbow

Explanation: Tennis elbow